Microanuerysms in diabetic retinopathy is present in
1. Inner nuclear layer
2. Outer nuclear layer
3. Inner plexiform layer
4. Outer plexiform layer

Correct answer: 1. Inner nuclear layer

Explanation: Microaneurysms and dot blot hemorrhages - inner nuclear layer.
Hard exudates - Outer plexiform layer.